Anesthetic agent which is explosive in the presence of cautery
1. Nitrous Oxide
2. Ether
3. Trilene
4. Halothane

Correct answer: 2. Ether

Explanation: Ether (Diethyl ether) It is a highly volatile liquid, produces irritating vapors which are inflammable and explosive. (C2H5 -- O -- C2H5) Ether is a potent anesthetic, produces good analgesia and marked muscle relaxation by reducing ACh output from motor nerve endings. The dose of competitive neuromuscular blockers should be reduced to about 1/3. It is highly soluble in blood. Induction is prolonged and unpleasant with struggling, breath-holding, salivation and marked respiratory secretions (atropine must be given as premedication to prevent the patient from drowning in his own secretions). Recovery is slow; postanaesthetic nausea, vomiting, and retching are marked. Respiration and BP are generally well maintained because of reflex stimulation and a high sympathetic tone. It does not sensitize the heart to Adrenaline and is not hepatotoxic. Ether is not used now in developed countries because of its unpleasant and inflammable properties. However, it is still used in developing countries, particularly in peripheral areas because it is--cheap, can be given by open drop method (though congestion of eye, soreness of trachea and ether burns on face can occur) without the need for any equipment, and is relatively safe even in inexperienced hands. Ref: K.D. Tripathi essentials of pharmacology 7e